Enrichment media for Salmonella are all except:
1. Wilson Blair
2. Selenite F
3. Tetrathionate broth
4. Gram negative brot

Correct answer: 1. Wilson Blair

Explanation: Ans. A. Wilson BlairSalmonella Transport media: Sachs' buffered glycerol saline, Cary Blair medium. Salmonella enrichment media: Selenite F, Tetrathionate broth, Gram negative broth. Salmonella selective media: XLD, DCA, Wilson Blair medium